A 30-year-old female, RBC count 4.5 million, MCV- 55 fl, TLC- 7000, no history of blood transfusion, Mentzer index - 12. Diagnosis is?
1. Iron deficiency anemia
2. Thalassemia major
3. Thalassemia minor
4. Megaloblastic anemia

Correct answer: 3. Thalassemia minor

Explanation: * Since MCV is reduced this indicates microcytic anemia, which rules out choice D. * No history of blood transfusion rules out thalassemia major. * Mentzer index = MCV/RBC count If mentzer index < 13 - Thalassemia minor > 13 - Iron deficiency The Mentzer index in the given question is - 12 thus it is most likely a case of thalassemia minor.